Water hammer pulse is seen
1. Aortic stenosis
2. Aortic regurgitation
3. Aortic stenosis and aortic regurgitation
4. Mitral regurgitation

Correct answer: 2. Aortic regurgitation

Explanation: Ref Harrison 19 th ed pg 1535 A rapidly rising "water-hammer" pulse, which col- lapses suddenly as arterial pressure falls rapidly during late systole and diastole (Corrigan's pulse), and capillary pulsations, an alternate flushing and paling of the skin at the root of the nail while pressure is applied to the tip of the nail (Quincke's pulse), are characterist